Which of the following is found in secondary granules of neutrophils
1. Catalase
2. Gangliosidase
3. Proteolytic enzyme
4. Lactoferrin

Correct answer: 4. Lactoferrin

Explanation: Ref Robbins 8/e p54 ;7/e p61; 9/e p80 Granules may be classified on the basis of their size, morphology, or electron density or with reference to a given protein. The initial classification into two major types of granules was based on the content of MPO. However, the granules can be further subdivided on the basis of other intragranular proteins, as observed in Fig . It should be emphasized that, according to the targeting-by-timing hypothesis that will be discussed later, classification of granules is arbitrary, because granules form a continuum from azurophil granules to gelatinase granules, sharing some proteins, eg, lysozyme, whereas other proteins can be chosen to serve as specific markers of one particular subset, eg, MPO, lactoferrin, and gelatinase.